All are used in glu coneogenesis except -
1. Oleate
2. Succinate
3. Glutamate
4. Aspartate

Correct answer: 1. Oleate

Explanation: Ans. is 'a' i.e., Oleate o Substrate of gluconeogenesis are :Lactate (lactic acid)PyruvateAll amino acids (except leucine and lysine)PropionateIntermediates of citric acid cycleo Fatty acids are not substrates for gluconeogenesis.Coming to the questiono Fatty acids (oleate in the question) is not a substrate for gluconeogenesis.o Succinate is an intermediate of TCA cycle, and is a substrate for gluconeogenesis.o All amino acids (in the question glutamate and aspartate), except leucine and lysine are substrates for gluconeogenesis.